Iodised salt is given in an area endemic to Goiter. Type of prevention
1. Health promotion
2. Specific protection
3. Primordial prevention
4. Treatment

Correct answer: 2. Specific protection

Explanation: Iodised salt is given in an area which has risk of developing goiter.
This is a primary level of prevention done by specific protection.
• Primordial prevention is done before the emergence of risk factor.